Half-life of insulin receptor is
1. 3 hr
2. 7 hr
3. 12 hr
4. 24 hr

Correct answer: 2. 7 hr

Explanation: The insulin receptor (IR) is a transmembrane receptor that is activated by insulin, IGF-I, IGF-II and belongs to the large class of tyrosine kinase receptors. Metabolically, the insulin receptor plays a key role in the regulation of glucose homeostasis, a functional process that under degenerate conditions may result in a range of clinical manifestations including diabetes and cancer. The half-life of insulin receptor is about 7 hrs.Ref: Ganong's review of medical physiology;24th edition; page no-437